Most common malignant tumour of parotid is
1. Acinic cell carcinoma
2. Mucoepidermoid carcinoma
3. Squamous cell carcinoma
4. Adenocystic carcinoma

Correct answer: 2. Mucoepidermoid carcinoma

Explanation: Mucoepidermoid carcinoma is the most common malignant tumor of the parotid gland and can be divided into low-grade and high-grade tumorsRef: Sabiston, 20e, page no: 830